Restrictive lung diseases show:
1. Decreased TLC
2. Decreased RV
3. Decreased VC
4. All

Correct answer: 4. All

Explanation: Restrictive lung diseases: it is extra pulmonary,paranchymal or pleural diseases which causes difficulty in expansion of the lung Ref: G K Pal Textbook of Practical Physiology 4th edition page number:165